Gluteus maximus is supplied by -
1. Superior gluteal nerve
2. Inferior gluteal nerve
3. Nerve to quadratus femoris
4. Sciatic nerve

Correct answer: 2. Inferior gluteal nerve

Explanation: Ans. is 'b' i.e.. Inferior gluteal nerve Muscles of the gluteal regionNerve supplyGluteus maximusInferior gluteal nerve (L5, S1,S2)Gluteus mediusGluteus minimusTensor fascia lataSuperior gluteal nerve (L4, L5, SI)PiriformisVentral rami of S1 and S2Superior gemellusObturator intemusNerve to obturator intemus (L5, SI, S2)Inferior gemellusQuadratus femorisNerve to quadratus femoris (LA, L5, SI)The sciatic nerve gives no branches in the gluteal region.